Reward center is located in ?
1. Cerebellum
2. Amygdala
3. Hippocampus
4. Hypothalamus

Correct answer: 4. Hypothalamus

Explanation: Ans. is 'd' i.e., Hypothalamus